A 20 year old male patient complaints of  a genital discharge resembling flow of seed. He has h/o sexual intercourse with a commercial sex worker 5 days back. Culture media used for the organism is
1. Ludlam's media
2. Potassium tellurite agar
3. Thayer-martin media
4. Bile-aesculin agar

Correct answer: 3. Thayer-martin media

Explanation: Flow of seed genital discharge suggests gonococcal urethritis.